ECG changes can first be observed when level of lignocaine is more than
1. 5 — 6 ug/ml
2. 10 — 12 ug/ml
3. 2 — 4 ug/ml
4. 1.2 ug/ml

Correct answer: 1. 5 — 6 ug/ml